In infant (full term) diameter (mm) length (cm) of ETT used are –
1. 3.5,16
2. 7,12
3. 3.5,12
4. 7, 10

Correct answer: 3. 3.5,12

Explanation: For full term infant, oral tracheal tube should have internal diameter of 3.5 mm and a length of 12 cm.